True about Millennium development goals:
1. Total of 15 goals have to be achieved
2. Targets to be achieved by 2015
3. Policy of Indian government
4. Concerned only with the provision of primary health care

Correct answer: 2. Targets to be achieved by 2015

Explanation: Ans. B: Targets to be achieved by 2015 Park's PSM, 21st ed., p-830 states: Governments have set a date of 2015 by which they would meet the MDGs. Signed on to by all the world's countries and the world's leading development institutions, they represent a blueprint for ending global poverty and have galvanised unprecedented support from governments, institutions and civil society organizations. The Millennium Development Goals (MDGs) are 8 goals namely: Eradicate extreme poverty and hunger Achieve universal primary education Promote gender equality and empower women Reduce child mortality Improve maternal health Combat HIV/ AIDS, malaria, and other diseases Ensure environmental sustainability Develop a global partnership for development.